All of the following are true about erythema infectiosum EXCEPT?
1. Slapped cheek appearance seen
2. Caused by parvovirus
3. Rash initially appears on trunk
4. Known as 'fifth disease'

Correct answer: 3. Rash initially appears on trunk

Explanation: Erythema infectiosum (fifth disease) A benign, self-limited exanthematous illness of childhood, caused by Parvovirus B19 Hallmark is the characteristic rash ("slapped-cheek" appearance).